A 9-year-old girl develops widespread pinpoint skin hemorrhages. She recovered from a fl u-like illness 1 week earlier. Laboratory findings reveal a platelet count of 20,000/mL but no other abnormalities. Her bone marrow shows an increased number of megakaryocytes. The platelet count is normal after 2 months. Which of the following is the appropriate diagnosis?
1. Antiphospholipid antibody syndrome
2. Disseminated intravascular coagulation
3. Hemolytic-uremic syndrome
4. Idiopathic thrombocytopenic purpura

Correct answer: 4. Idiopathic thrombocytopenic purpura

Explanation: Idiopathic thrombocytopenic purpura -quantitative disorder of platelets caused by antibodies directed against platelet or megakaryocytic antigens -related to antibody-mediated immune destruction of platelets or their precursors. -The peripheral blood smear in ITP exhibits numerous large platelets, and the bone marrow shows a compensatory increase in megakaryocytes. - C/F Petechia Purpura Hemorrhagic bullae Gum bleeding Hematuria Melena *Thrombocytopenia may be observed in the other choices but is usually associated with other systemic signs and symptoms.